Change in color of traumatized tooth is evident in
1. 1 to 2 weeks after injury
2. 2 to 3 weeks after injury
3. 3 to 4 weeks after injury
4. Within few days

Correct answer: 2. 2 to 3 weeks after injury